If stage Ib cervical cancer is diagnosed in a young woman, while performing radical hysterectomy which structure would you not remove:
1. Uterosacral and uterovesical ligament
2. Pelvic LN
3. Both ovaries
4. Upper third of vagina

Correct answer: 3. Both ovaries

Explanation: Ans. is c, i.e. Both ovariesRef: Textbook of Gynecology sheila Balakrishnan 1st/ed, p255Cancer cervix rarely involves the ovaries.When radical/modified radical hysterectomy are being performed in young females, ovaries should not be removed.